Which is a feature of filarial epididymo orchitis?
1. Absence of involvement of seminal vesicles on PR
2. Eosinophilia
3. Microfilaria in blood
4. All of the above

Correct answer: 4. All of the above

Explanation: Ans: d (All of the above) Ref:S. Das, p. 459- Filarial epididymo orchitis is quite common and subacute in nature.- Usually affects the globus major of the epididymis.- Gradually testis is involved.- Secondary hydrocoele is not uncommon.Thberculous epididymitisCraggy epididymis leading to softening.Filarial epididymo-orchitisPresence of a history of periodic feverAbsence of craggy epididymisFormation of cold abscess sinusAbsence of involvement of the seminal vesicles on rectal examinationPresence of eosinophiliaDemonstration of microfilaria in peripheral blood